Color doppler TVS of Endometrioma demonstrates
1. Intracystic flow
2. Pericystic flow
3. Diffuse blood flow
4. None of above

Correct answer: 2. Pericystic flow

Explanation: Endometrioma demonstrates pericystic flow.